A partial agonist at acetylcholine nicotinic receptors that can be used in smoking cessation programs is
1. Acamprosate
2. Varenicline
3. Buprenorphine
4. Nalbuphine

Correct answer: 2. Varenicline